Not associated with twin pregnancy:
1. Pre-eclampsia
2. Oligohydramnios
3. Antepartum hemorrhage
4. Atonic uterus

Correct answer: 2. Oligohydramnios

Explanation: Ans. B: Oligohydramnios Maternal complications of multiple pregnancy: Anemia Pre-eclampsia (25%) Polyhydramnios (10%) Malpresentations Preterm labour (50%) Early rupture of membranes Prolonged labour Postpartum hemorrhage due to uterine atony Sub-involution of uterus Antepartum hemorrhage